Which of the following statements is not true about Tacrolimus -
1. It is macrolide antibiotic
2. It is indicated for the prophylaxis of organ transplant rejection
3. Glucose intolerance is a well recognized side effect
4. It can be safely administered with any nephrotoxic drug

Correct answer: 4. It can be safely administered with any nephrotoxic drug

Explanation: Ans. is 'd' i.e., It can be safely administered with any nephrotoxic drug